Optic cup give rise to ?
1. Lens
2. Retina
3. Cornea
4. Sclera

Correct answer: 2. Retina

Explanation: Ans. is `b' i.e., RetinaThe inner layer of optic cup forms the main structure of the retina. From its anterior border develop parts of ciliary body and iris.